Milk ring test is seen in -
1. Brucellosis
2. Bacteroides
3. Tuberculosis
4. Salmonellosis

Correct answer: 1. Brucellosis